Charcot's joint in diabetes affects commonly -
1. Shoulder joint
2. Knee joint
3. Hip joint
4. Tarsal joint

Correct answer: 4. Tarsal joint

Explanation: Answer- D. Tarsal joint Tabes dorsalis - Knees, hip & ankles